The minimum period required for post-exposure chemoprophylaxis for HIV is:
1. 4 weeks
2. 6 weeks
3. 8 weeks
4. 12 weeks

Correct answer: 1. 4 weeks

Explanation: Post exposure prophylaxis for HIV: Ideally HIV PEP must be initiated as soon as possible HIV PEP must be initiated within: 24 hours HIV PEP unreasonable to initiate beyond: 72 hours Duration of HIV PEP: 4 weeks Follow-up period after HIV PEP: 12 weeks. Only the higher risk injuries are offered HIV post-exposure prophylaxis which consists of2-3 anti-retroviral medications administered for 28 days. A baseline rapid HIV testing of exposed and source person must be done for PEP. However, initiation of PEP should not be delayed while waiting for the results of HIV testing of the source of exposure PROTOCOL: It is necessary to determine the status of the exposure and the HIV status of the exposure source before starting post exposure prophylaxis (PEP).